What is the standard dose of PPD for Mantoux test -
1. 5TU
2. 10TU
3. 15TU
4. 20TU

Correct answer: 1. 5TU

Explanation: A standard 5 tuberculin unit(5 TU) of PPD-S is used in Mantoux test. Reference:Park's textbook of preventive and social medicine,K.Park,23rd edition,page no:185.